Mast Cells
1. Seldom found in pulp
2. Abundant in inflamed pulp
3. Have granular cytoplasm with round nuclei
4. All of the above

Correct answer: 4. All of the above

Explanation: Mast cells:

Mast cells are seldom in large numbers in normal, healthy pulps, but are commonly found in inflamed pulp.
Have granular cytoplasm with round nucleus.